polycystic ovarian syndrome is the side effect of which mood stabilizer
1. valproate
2. carbamezepine
3. lithium
4. lamotrigine

Correct answer: 1. valproate

Explanation: side effects of mood stabilizers are important and are frequently askedn entrance examinations valproate causes very important side effects namely LETHAL SIDE EFFECTS OF VALPROATE - Hyperammonemia - Pancreatitis - Hepatic failure - Neural tube defects - Thrombocytopenia MINOR SIDE EFFECTS OF VALPROATE - Hair loss - PCOD - WEIGHT GAIN - TREMORS Ref.kaplon and Sadock, synopsis of psychiatry,11 th edition, pg no.935